Which of the following muscle is not supplied by recurrent laryngeal nerve -
1. Post cricoarytenoid
2. Thyroarytenoid
3. Lateral cricoarytenoid
4. Cricothyroid

Correct answer: 4. Cricothyroid

Explanation: All the intrinsic muscles of larynx are supplied by recurrent laryngeal nerve except for cricothyroid muscle.